The parvocellular pathway, from the lateral geniculate nucleus to the visual cortex, carries signals for the detection of:
1. Movement, depth and flicker
2. Color vision, shape and fine details
3. Temporal frequency
4. Luminance contrast

Correct answer: 2. Color vision, shape and fine details

Explanation: B i.e. Colour vision, shape, fine details 'The parvocellular pathway from layers 3-6 carries signals for colour vision, textures, shape and fine detail'.